Icthyosis is associated with -
1. Hodgkins disease
2. AIDS
3. Hypothyroidism
4. All

Correct answer: 4. All

Explanation: ichthyosis Group of disorders of cornification. Skin - dry scaly. Inherited includes ichthyosis vulgaris,recessive x linked ichthyosis,autosomal recessive congenital ichthyosis, congenital bullous ichthyosiform erythroderma. Associations:- Hodgkins AIDS Hypothyroidism Netherton's syndrome Refsum's disease Chanarin dorfman syndrome Shogren Larsson syndrome {Reference: IADVL textbook of dermatology, vishalakshi Vishwanath pg no.328}